Serial interval measures -
1. Incubation period of disease
2. Sensitivity
3. Specificity
4. Positive predictive value

Correct answer: 1. Incubation period of disease